Dosage of topical tobramycin eye drops :
1. 1 mg/ml
2. 2 mg/ml
3. 3 mg/ml
4. 4 mg/ml

Correct answer: 3. 3 mg/ml